Characteristic pathological finding in carcinoid of heart-
1. Fibrous endocordial thickening of right ventricle andtricuspid valve
2. Collagen deposition in wall of right ventricle and tricuspid valve
3. Interstitial fibrous thickening of right ventricle and pulmonic valve
4. Mononuclear inflammatory infiltrate in the wall of right atrium

Correct answer: 1. Fibrous endocordial thickening of right ventricle andtricuspid valve

Explanation: The carcinoid syndrome results from bioactive compounds such as serotonin released by carcinoid tumors (; systemic manifestations include flushing, diarrhea, dermatitis, and bronchoconstriction. Carcinoid heart disease refers to the cardiac manifestation caused by the bioactive systemic syndrome develops. Cardiac lesions typically do not occur until there is a massive hepatic metastatic burden, since the liver normally catabolizes circulating mediators before they can affect the heart. Classically, endocardium and valves of the right heart are primarily affected since they are the first cardiac tissues bathed by the mediators released by gastrointestinal carcinoid tumors. (Robbins basic pathology,9th edition,pg no.395)